In which of the following conditions does internal derangement cause mandibular deviation to the same side?
1. Bilateral TM joint dislocation
2. TM joint ankylosis
3. Unilateral TM joint dislocation
4. Unilateral disk placement anteriorly without reduction

Correct answer: 4. Unilateral disk placement anteriorly without reduction